Plasma cholinesterase is reduced in all of the following condition except:-
1. Pregnancy
2. Liver disease
3. Malnutrition
4. Hemolysis

Correct answer: 4. Hemolysis

Explanation: Plasma cholinesterase activity can be reduced by number exogenous + endogenous causes- pregnancy liver disease, uremia, malnutrition, buns, plasmapheresis and oral contraceptives. Reduced butyryl cholinesterase activity is seen in Liver disease Pregnancy Malnutrition Old age Drugs like - oral contraceptives, monoamine oxidase inhibitors, echothiophate, cytotoxic drugs, neoplastic disease, anticholinesterase drugs and metoclopramide. Butyrylcholinesterase is the enzyme which degrades succinyl choline. It is synthesized in the liver and found in the plasma. Decreased butyrylcholinesterase is not a major concern in clinical practice because even in a large decrease in the enzyme activity will produce an only slight increase in duration of neuromuscular blockade.